Alpha 1 anti trypsin deficiency is seen in
1. A. Emphysema
2. B. Bronchiectasis
3. C. Empyema
4. D. Bronchiogenic carcinoma

Correct answer: 1. A. Emphysema

Explanation: Alpha 1 anti trypsin deficiency is associated with panacinar emphysema Emphysema is a type of COPD involving damage to the air sacs (alveoli) in the lungs. As a result, your body does not get the oxygen it needs. Emphysema makes it hard to catch your breath. You may also have a chronic cough and have trouble breathing during exercise. The most common cause is cigarette smoking. Refer robbins 9/e p466